Typhoid perforation is diagnosed by-
1. Plain X-ray of abdomen in erect posture
2. Rectal examination
3. Gastric aspiration
4. Barium enema

Correct answer: 1. Plain X-ray of abdomen in erect posture